Mother being a chronic Hepatitis C, what's risk of tranmission to neonate?
1. 5%
2. 0%
3. 10%
4. 40%

Correct answer: 1. 5%

Explanation: (A) 5%# TIMING OF TRANSMISSION: Mechanisms underlying vertical transmission of HCV are poorly understood. Intrauterine transmission during pregnancy and infection at the time of delivery are both possible.> Polymerase chain reaction (PCR) testing for HCV RNA may not be positive until several weeks following infection, when levels of viremia reach the detection threshold. HCV ribonucleic acid (RNA) has been detected in the serum of newborn infants within a few days of delivery suggests that infection during pregnancy can occur because infection that occurred at the time of delivery would not be detectable for several weeks. However, despite the fact that transmission during pregnancy can occur, in the majority of infants infected with HCV, HCV RNA levels only become detectable several weeks after birth, suggesting perinatal infection.